Immobilization of the cervical spine with a plaster jacket is known as
1. Maneuver jacket.
2. Minerva jacket.
3. Sistrunk's jacket.
4. All of the above.

Correct answer: 2. Minerva jacket.

Explanation: Cold abscess
• It is an abscess that arises from tuberculous origin.
• Causes of cold abscess other than tuberculosis include Actinomycosis, Gumma degeneration and Leprosy.
• It is called 'cold' as it is not as hot and red as pyogenic abscess.
• When the cold abscess is secondary to caries spine of the cervical region, immobilization of the cervical spine is required with a plaster jacket known as 'Minerva jacket'.